Ackerman's tumor is:
1. Mucoepidermoid carcinoma
2. Epidermoid carcinoma
3. Squamous cell carcinoma
4. Adenocarcinoma

Correct answer: 3. Squamous cell carcinoma

Explanation: Ans. (c) Squamous cell carcinomaRef: Oxford textbook of oncology; vol. 1/1995/1046* Ackerman's Tumor - also known as Verrucous carcinoma.* A type of Squamous cell carcinoma - well differentiated and can occur in any part of respiratory or digestive tract.* For Verrucous Carcinoma - RT is not given, Only surgery must be done